The angle of anteflexion occurs at the level of:
1. Internal os
2. External os
3. Upper vagina
4. Cervix

Correct answer: 1. Internal os

Explanation: Ref: Shaw's textbook of gynaecology, 15th ed. pg :8Explanation:The body of I he uterus is bent forwards on the cervix approximately at the level of internal os.This forward inclination of the uterus on the cervix constitutes ante flexion.